Hypoxia due to slowing of circulation is-
1. Anemic
2. Histotoxic
3. Stagnant
4. None

Correct answer: 3. Stagnant

Explanation: Ans. (c) Stagnant(Ref: Ganong, 25th ed/p.647)Stagnant hypoxia is also called as ischemic hypoxia or circulatory hypoxia or Hypoperfusion hypoxiaCommonly seen in congestive cardiac failure and circulatory shock